Most effective treatment for severe malaria is
1. Artesunate
2. Chloroquine
3. Quinine
4. Primaquine

Correct answer: 1. Artesunate

Explanation: Refer Harrison 19th/1699-1701 Drug for choice for severe or complicated malaria is artesunate .For more6 details see text